Contents of Deep perineal pouch include all of the following, EXCEPT:
1. Root of penis
2. Sphincter urethrae
3. Bulbourethral gland
4. Dorsal Nerve of penis

Correct answer: 1. Root of penis

Explanation: Root of penis is present in the superficial perineal pouch and not in the deep perineal pouch. Contents of the deep perineal pouch are: Sphincter urethraBubourethral glandsDorsal nerve of penisMembranous part of urethraDeep transverse perineal muscleInternal pudendal vessel and its branches Ref: Clinical Anatomy for Medical Students By Richard S Snell, 6th Edition, Page 369